Which of the following radioisotopes is commonly used as a source for external beam radiotherapy in the treatment of cancer patients
1. Strontium - 89
2. Radium - 226
3. Cobalt - 59
4. Cobalt - 60

Correct answer: 4. Cobalt - 60

Explanation: D i.e. Cobalt - 60